A 54-year-old female marathon runner presents with pain in her right wrist that resulted when she fell with force on her outstretched hand. Radiographic studies indicate an anterior dislocation of a carpal bone Which of the following bones is most likely dislocated?
1. Capitate
2. Lunate
3. Trapezoid
4. Triquetrum

Correct answer: 2. Lunate

Explanation: The lunate is the most commonly dislocated carpal bone because of its shape and relatively weak ligaments anteriorly. -Dislocations of the scaphoid is relatively rare. The trapezoid and capitate bones are located in the distal row of the carpal bones.